Diethylstilbestrol induced reproductive tract abnormalities includes all except
1. T-shaped uterus
2. Clear cell adenocarcinoma cervix
3. Vaginal Adenosis
4. None of above

Correct answer: 4. None of above

Explanation: In - utero exposure to DES results in all of the above.